Eisenmenger syndrome is characterized by all except
1. Return of left ventricle & right ventricle to normal size
2. Pulmonary veins not distended
3. Pruning of peripheral pulmonary arteries
4. Dilatation of central pulmonary arteries

Correct answer: 1. Return of left ventricle & right ventricle to normal size

Explanation: In eisenmenger syndrome there will be concentric hypertrophy of right ventricle Ref : Ghai essential of pediatrics, eighth edition, p.no:428